All the following are criteria to say substance dependence except
1. Tolerance
2. Withdrawal symptoms
3. Unable to quit the drug
4. Use of illegal substances

Correct answer: 4. Use of illegal substances

Explanation: Usage of illegal drugs doesn't come under substance dependence as per WHO definition. Remaining 3 options make up the definition Ref: Essentials of postgraduate psychiatry By JN Vyas 1st ed Pg 326